Most common gene associated with pancreatic cancer
1. KRAS
2. SMAD
3. P53
4. Rb

Correct answer: 1. KRAS

Explanation: Ans. (a) KRAS(Ref Robbins 9th/pg 892-894)GeneChrPercentage KRAS12p90Most commonly involved Oncogene Qp16/CDKN2A9p95Most commonly involved Tumor suppressor gene QTP5317p50-70Involved in Response to DNA damageSMAD418q55TGF b pathwayBRCA213q10Germ-line mutation Q